All are true regarding Hepatocellular carcinoma except..
1. HCV risk factor
2. OCPs causes
3. Focal nodular hyperplasia most malignant
4. Chromosomal abnormalities are common

Correct answer: 3. Focal nodular hyperplasia most malignant

Explanation: hepatocellular carcinoma Major risk factors Minor risk factors HBV infection Hemochromatosis HCV infection Wilson's disease Alcoholic cirrhosis alpha1 antitrypsin deficiency Aflatoxin B1 oral contraceptives Non- alcoholic steatohepatitis. Cigarette smoking GENERAL AND SYSTEMIC PATHOLOGY RAMDAS NAYAK FIRST EDITION PAGE 464,465